A female at 37 weeks of gestation has mild labour pains for 10 hours and cervix is pessistently 1 cm dilated but non effaced. What will be the next appropriate management?
1. Sedation and wait
2. Augmentation with oxytocin
3. Cesarean section
4. Amniotomy

Correct answer: 1. Sedation and wait